In primary immune deficiency, the fraction of plasma protein reduced is
1. α-1-globulin
2. α-2-globulin
3. β-globulin
4. γ-globulin

Correct answer: 4. γ-globulin